According to Schour & Massler the crown completion of both permanent maxillary and mandibular first molars is:
1. 1½  - 2 years
2. 2½ - 3 years
3. 3 - 4 years
4. 4 - 5 years

Correct answer: 2. 2½ - 3 years